A 32 years male with history of recurrent posterior dislocation of shoulder joint. which aspect in head of the hermerus likely to show the lesion
1. Antero medial
2. Antero lateral
3. Postero medial
4. Postero lateral

Correct answer: 1. Antero medial